Which of the following acts as physiological uncoupler?
1. Insulin
2. Epinephrine
3. Growth harmone
4. Thyroxine

Correct answer: 4. Thyroxine

Explanation: Examples of physiological uncouplers are:

Thyroxine
Thermogenin (presnt in brown adipose tissue)
Long chain free fatty acid
Unconjugated Bilirubin